Genotoxic waste contains:
1. Genetic material
2. Cytotoxic drugs
3. General waste material
4. None of the above

Correct answer: 2. Cytotoxic drugs

Explanation: Genotoxic waste is derived from drugs generally used in oncology or radiotherapy units that have a high hazardous mutagenic or cytotoxic effect. Faeces, vomit or urine from patients treated with cytotoxic drugs or chemicals should be considered as genotoxic. Ref: Park 21st edition, page 730. Chapter: Hospital waste management.